Kimmelstiel-wilson disease is diagnostic of -
1. Diabetic glomerulosclerosis
2. Hypertension benign
3. Malignant hypertension
4. Amyloidosis

Correct answer: 1. Diabetic glomerulosclerosis